Brush fire appearance of fundus is seen in -
1. Toxoplasmosis
2. CMV retinitis
3. Chloroquine toxicity
4. Bacterial endocarditis

Correct answer: 2. CMV retinitis

Explanation: Ans. is 'b' i.e., CMV retinitisIMPORTANT FACTSSalt and Pepper fundusCongenita] rubella, Congenital syphilis,Congenital leber amaurosis, Mayous Batten disease,Thioridazine toxicity.o Crumbled chees and ketchup appearance (sauce and cheese appearance)o Pizza pie appearanceo Brush fire appearanceCMV retinitiso Satellite lesiono Head light in the fog appearanceToxoplasmosisHemorrhagic retinal necrosisHSV, toxoplasmosis, Bechet's retinitis, CRVO or branch vein occlusionMost common ocular infection in AIDSMost common cause of chorioretinitis in AIDSCMVBull's eye retinopathy (maculopathv)Chloroquine, Phenothiazine, Bardet-Biedle syndrome,Batten disease, inverse retinitis, pigmentosa, Stargardt disease, Dystrophies, Chronic macular hole.Roth spotsBacterial endocarditis. Puerperal septicemiaSnowball opacities in vitreousPars ptanitis. Candidiasis, Sarcoidosis. Lyme disease